Treatment of transverse lie at labour is :
1. Artificial rupture of membrane
2. Oxytocin infusion
3. Cesarean section
4. Forceps delivery

Correct answer: 3. Cesarean section

Explanation: Cesarean section